The most common cause of laryngeal stridor in a 60-year old male is:
1. Nasopharyngeal carcinoma
2. Thyroid carcinoma
3. Foreign body aspiration
4. Carcinoma larynx

Correct answer: 4. Carcinoma larynx

Explanation: Most common cause for stridor in 60 years old male will be carcinoma larynx as carcinoma larynx occurs in males (predominantly) at the age of 40-70 years. Most common and earliest symptom of subglottic cancer is stridor. Nasopharyngeal cancer does not lead to stridor Thyroid cancer causes stridor rarely.